Oral ulcers that are painless are associated with
1. Secondary herpes
2. Primary syphilis
3. Tuberculosis
4. Primary herpes

Correct answer: 2. Primary syphilis